A patient presents with pain in back. Lab investigation shows elevated ESR. X-ray skull shows multiple punched out lytic lesions. Most important investigation to be done is:
1. Serum acid phosphatase
2. CT head with contrast
3. Whole body scan
4. Serum electrophoresis

Correct answer: 4. Serum electrophoresis

Explanation: Multiple Myeloma. Multiple punched out lytic lesions of skull Dx- M bands on serum electrophoresis. Elevated ESR is an important finding in multiple myeloma Punched out lesions of skull are seen in Eosinophilic granuloma-bevelled edges (double contour) Multiple myeloma.